Bluish green postmortem staining is present in:
1. Hydrogen sulphide
2. Carbon monoxide
3. Cyanide
4. Phosphorus

Correct answer: 1. Hydrogen sulphide

Explanation: Normal : Blue purplish Carbon monoxide : Cherry red Cyanide : Bright Red/ Brick red Hypothermia/ Refrigeration : Pink Nitrate/ aniline/ Potassium chlorate : Chocolate Brown Septic abortion : Bronze Hydrogen sulphide : Bluish Green